Shortest acting non depolarizing muscle relaxant is
1. Mivacurium
2. Doxacuronium
3. Pipecurium
4. Vecuronium

Correct answer: 1. Mivacurium

Explanation: Suxamethonium (succinylcholine) is the shortest acting skeletal muscle relaxantMivacurium is the shortest acting nondepolarizing skeletal muscle relaxant.(Refer: stoelting's pharmacology and physiology in anaesthetic practice, 5th edition, pg no.139)